The position adopted for tonsillectomy is also adopted for this procedure:
1. Direct laryngoscopy
2. Bronchoscopy
3. Tracheostomy
4. Indirect laryngoscopy

Correct answer: 3. Tracheostomy

Explanation: (c) Tracheostomy(Ref. Stell & Maran, 5th ed., 275)Tonsillectomy, adenoidectomy and tracheostomy all are done in Rose's position.For direct laryngoscopy and bronchoscopy the position of the patient is known as "sniffing the morning air" or barking dog or Boyce position. Here there is flexion at cervical and extension at atlanto-occipital joint